Barret's esophagus is commonly associated with one of the following:
1. Adenocarcinoma
2. Squamous cell carcinoma
3. Sarcoma
4. Gastrointestinal stromal tumor

Correct answer: 1. Adenocarcinoma

Explanation: Answer is A (Adenocarcinoma) Barret's esophagus is a premalignant lesion and predisposes to adenocarcinoma of the lower (distal) esophagus.